Which of the following drug can be used to treat dry mouth associated with Sjogren syndrome:
1. Pilocarpine.
2. Cevimeline.
3. Both
4. None.

Correct answer: 3. Both